Stillborn child is defined by
1. >=20 wks
2. >= 24 wks
3. >=28 wks
4. >= 32 wks

Correct answer: 3. >=28 wks

Explanation: The definition recommended by WHO is a baby born with no signs of life at or after 28 weeks' gestation. The major causes of stillbirth include: childbirth complications post-term pregnancy maternal infections in pregnancy (malaria, syphilis and HIV) maternal disorders (especially hypertension, obesity and diabetes) fetal growth restriction congenital abnormalities. Reference: GHAI. Essential paediatrics , 8 th edition